Gluteofemoral bursa is in between gluteus maximus and
1. Greater trochanter
2. Lesser trochanter
3. Ischeal tuberosity
4. Vastus lateralis

Correct answer: 4. Vastus lateralis

Explanation: Bursae between gluteal maximus and vastus lateralis is called Gluteofemoral bursa. Between gluteus maximus and trochanter is trochanteric bursa. There is also a bursa over ischial tuberosity. {Reference: BDC 6E pgno. 70}